In an epidemic, the 1st step is
1. Verification of diagnosis
2. Isolation
3. Immunization
4. Notification

Correct answer: 1. Verification of diagnosis

Explanation: The steps in an epidemic investigation are :Verification of diagnosisConfirmation of the existence of the epidemicDefining the population at riskObtaining a map of the areaCounting the populationRapid search for all cases & their characteristicsMedical surveyEpidemiological case sheetSearching for more casesData analysisFormulation of hypothesisEvaluation of ecological factorsFurther investigation of the population at riskWriting the report